What is the amount of fluid to be given to a 2 year child weighing 12 Kg with severe dehydration in the first half an hour of IV rehydration?
1. 120 ml
2. 240 ml
3. 360 ml
4. 840 ml

Correct answer: 3. 360 ml

Explanation: AGE First give 30 ml/ Kg in Then give 70 ml/ Kg in Infants (< 12 months) 1 hour 5 hours Older children 30 minutes 2.5 hours In the above question, amount of fluid needed = 30 ml/ Kg x12=360 ml Ref: Park 21st edition, page 204.